False statement regarding aneurysms is -
1. True aneurysm contains all the 3 layers
2. In dissecting aneurysms media is defective
3. Charcot bouchard aneurysms are seen in brain
4. Saccular aneurysms involves the entire circumference

Correct answer: 4. Saccular aneurysms involves the entire circumference

Explanation: An aneurysm is an outward bulging, likened to a bubble or balloon, caused by a localized, abnormal, weak spot on a blood vessel wall. leading to uncontrolled bleeding. Although they may occur in any blood vessel, particularly lethal examples include aneurysms of the Circle of Willis in the brain, aortic aneurysms affecting the thoracic aorta, and abdominal aortic aneurysms. Aneurysms can arise in the heart itself following a heart attack, including both ventricular and atrial septal aneurysms. There are three types of aneurysms: abdominal aortic, thoracic aortic, and cerebral. Abdominal aortic aneurysms, sometimes known as "Triple A," are the most common aneurysms of the aorta - the large blood vessel that carries blood away from your heart and through your body. The three major types of true intracranial aneurysms are as follows: Saccular aneurysms - Degenerative or developmental; traumatic; mycotic; oncotic; flow-related; vasculopathy-related; and drug-related. Fusiform aneurysms. Dissecting aneurysms Saccular aneurysms, also called "berry" aneurysms because they look like berries, are the most common type of brain aneurysm. Saccular aneurysms have a "neck" that connects the aneurysm to its main ("parent") artery and a larger, rounded area called the dome. These aneurysms bulge on only one side of the artery wall. Ref Davidson 23rd edition pg 445